Which one of the following does not indicate good prognosis in Ca penis:
1. Size less than 2 cm
2. No regional lymph node metastasis
3. No invasion of subepithelial connective tissue
4. No metastases

Correct answer: 1. Size less than 2 cm

Explanation: It is not the size of the tumor but the invasion of the lesion into the corpora or overlying facial layers, which are prognostic indicator.
Lymph node status is the most important prognostic marker of the disease.
Here's the TNM staging of penile cancer